Hemochromatosis is associated with all features except
1. Hypogonadism
2. Skin pigmentation
3. Gastric atrophy
4. Micronodular cirrhosis

Correct answer: 3. Gastric atrophy

Explanation: Gastric atrophy has no association with hemochromatosis.